Salmonella osteomyelitis is common in which of the following?
1. Sickle cell disease
2. HIV
3. IV drug abusers
4. Pregnancy

Correct answer: 1. Sickle cell disease

Explanation: Increased incidence of salmonella (may spread from gallbladder infection) is seen in sickle cell anemia, but staph aureus is still the most common. Staph aureus is the most common cause of osteomyelits in all children, including those with sickle cell disease. Salmonella osteomyelitis occurs most commonly in children with sickle cell disease, but is still less common than Staph aureus in these patients. Osteomyelitis most often affects diaphysis.